Which a vehicular injury is not caused by direct contact of vehicle ?
1. Primary impact
2. Secondary impact
3. Secondary injury
4. Rolling over

Correct answer: 3. Secondary injury

Explanation: Ans. is 'c' i.e., Secondary injury Pedestrian injuries Following patterns of injuries are seen :? 1) Primary impact injuries : It is caused due to initial impact between vehicle and pedestrian. The height of the pedestrian often determines the site of impact and injuries, for example, they are usually found on head in children and on the trunk and legs in adults. Overall, the most common site is leg (85%), followed by head (50-80%) > arms > pelvis > chest or abdomen > neck and spine. 2) Secondary impact injuries : These are due to subsequent impact with the same vehicle, as may result from being lifted on to the vehicle after the initial impact:- Secondary impact injuries are also usually seen on the same side as the primary impact injuries (side facing the vehicle) when the body is thrown on the vehicle although they may be seen on other surfaces such as during ran over injuries. If the initial impact was below the centre of gravity (as occurs in adult and older child), it tends to lift the victim up onto bonnet/hood of vehicle (scooping up) or even on road behind the vehicle and cause severe head injuries, laceration (due to secondary impact or contact with windshield) and run over by passing vehicle. If the initial point of impact was at or above the centre of gravity (as occurs in children), he is directly thrown to ground (due to primary impact) and is run over by same car with consequent secondary impact under carriage injuries which may include burns from hot exhaust pipe and stains from grease oil etc. 3) Secondary injuries : These are caused by person violently falling on ground or on stationary object. These are found on parts opposite to primary impact or on head. Injuries due to contact with ground include abrasion and bruises over the face, hand, hips and legs, and laceration over the bony prominences. 4) Rolling/Runover (degloving injuries) : Caused by wheel of vehicle or rolling over the victim. Children are oftenly involved.